Appearance of spleen with deposits of Amyloid within the white pulp of spleen is known as -
1. Sago spleen
2. Lardaceous spleen
3. Nutmeg spleen
4. Zahn spleen

Correct answer: 1. Sago spleen

Explanation: Answer- A. Sago spleenAltpeorance of Spleen with deposits of Amyloid in the stroma of the red pulp is known as lardaceous spleen and within the stroma of the white pulp is known as sago spleen.Cut surface looka like it is impregnated with grains of sand (nodules resembling tapioca like granules) i.e., sago grains and hence called Sago spleen.